Most common cause of unilateral proptosis is
1. Thyrotoxicosis
2. Retinoblastoma
3. Intraocular haemorrhage
4. Raised intracranial tension

Correct answer: 1. Thyrotoxicosis

Explanation: A i.e. Thyrotoxicosis Grave's ophthalmopathy is most common cause of U/L or B/L proptosis in adults Q between age of 25-50 yrsQ